Punett square is used to -
1. Predict genotype of offspring
2. Statistical analysis
3. Test a hypothesis
4. Track family history and inheritance

Correct answer: 1. Predict genotype of offspring

Explanation: Ans. is 'a' i.e. Predict genotype of offspring Punnets Square o The Pun nett square is a diagram that is used to predict an outcome of a particular cross or breeding experiment. o The Punnett square helps to predict possible genotypes in an offspring by aligning possible female gametes with possible male gametes in an orderly way provided that the exact genotype or inferred genotype of both parents is known. o The Punnett square is nothing else but visual representation of Mendelian inheritence o In following example, boths male and female parents are heterozygotes having genotype Bb. The probability of an individual offspring's having genotype BB is 25%, BB is 50%, and bb is 25%.